30 TO -60 degree axis deviation is seen in:
1. Left Ventricle Hypertrophy
2. Right Ventricle Hypertrophy
3. Left Posterior Fascicular Block
4. Lateral wall Myocardial Infarction

Correct answer: 1. Left Ventricle Hypertrophy

Explanation: Answer is A (Left Ventricle Hypertrophy): Deviation of the cardiac axis more negative than -30 (Between -30 to -90) indicates Left Axis Deviation. Left Ventricular Hypertrophy is the most common cause of left axis deviation. Right Ventricle Hypertrophy, Left Posterior Fascicular Block and Lateral wall Myocardial Infarction are all associated with Right Axis Deviation.